Acid phosphastase cytochemical staining is used in the diagnosis of which of the following hematological neoplasms?
1. Chronic myeloid leukemia
2. Acute myeloid leukemia
3. B-cell acute lymphoblastic leukemia
4. T-cell acute lymphoblastic leukemia

Correct answer: 4. T-cell acute lymphoblastic leukemia

Explanation: Cytochemically demonstrable acid phosphatase has main diagnostic use is in the diagnosis of T-cell ALL and hairy cell leukaemia. In T cells, acid phosphatase is an early differentiation feature. Almost all acute and chronic T-lineage leukaemias show strong activity. In T-lineage ALL, the activity is usually highly localised (polar).